Carman's meniscus sign is diagnostic of –
1. Peptic ulcer
2. Cholecystitis
3. Carcinoma of stomach
4. Meconium ileus

Correct answer: 3. Carcinoma of stomach

Explanation: Hampton's line               → Pathognomonic of benign gastric ulcer
Carman's meniscus sign → Diagnostic of malignant gastric ulcer (Carcinoma of stomach)